Owl' eye nucleus is seen in which type of lymphoma?
1. Non- Hodgkin's lymphoma
2. Hodgkin's lymphoma
3. Burkitt's lymphoma
4. Cutaneous T-cell lymphoma

Correct answer: 2. Hodgkin's lymphoma

Explanation: Ans is 'b' i.e., Hodgkin's lymphoma o "Owl's eye" appearance of entire nucleus is seen in Reed-Sternberg cells.o Reed-Sternberg cells are giant cells with multinucleated or have a bilobed nucleus with prominent eosinophilic inclusion-like nucleoli (thus resembling an "owl's eye"appearance). These are positive for CD 15 and CD 30, and also PAX-5 (B-cell transcription factor).o Hodgkin's disease is characterized by presence of Reed-sternberg cells (Classical Reed-sternberg cells) and its variants.o They can also be found in reactive lymphadenopathy (such as infectious mononucleosis immunoblasts which are RS like in appearance], carbamazepine associated lymphadenopathy) and very rarely in other types of non-Hodgkin lymphofnas. Anaplastic large cell lymphoma may also show RS like cells.